Pentavalent immunoglobin is
1. IgA
2. IgG
3. IgM
4. IgE

Correct answer: 3. IgM

Explanation: Ans. is 'c' i.e., IgM